Hyperprolactinoma causes
1. Inter menstrual bleeding
2. Prolonged menstruation
3. Oligomenorrhea
4. Polymenorrhea

Correct answer: 3. Oligomenorrhea

Explanation: (Oligomenorhea): (2287-88- H18th edition; 788-Davidson 21st)HYPER PROLACTINEMIA* Hyper prolactinemia is the most common pituitary hormone hyper secretion syndrome in both men and women* PRL- secreting pituitary adenoma (Prolactinomas) are the most common cause of PRL levels > 200 mg/L* Pregnancy and lactation are the important physiologic causes of hyperprolactinemia* Amenorrhea, galactorrhea and infertility are the hall marks of hyperprolactinemia in women* More commonly hyperprolactinemia develops later in life and leads to oligo menorrhea** and ultimately to amenorrhea* Decreased libido, weight gain and mild hirsutism may also complainMen-* Diminished libido , infertility and visual loss, impotence and oligospermia* True galactorrhea is uncommon in men hypogonadism, osteopenia, reduced muscle mass and decreased beard growth